Viscosity of synovial fluid depends upon:-
1. N-acetyl galactosamine
2. N-acetyl glucosamine
3. Glucuronic acid
4. Hyaluronic acid

Correct answer: 4. Hyaluronic acid

Explanation: Ans. is 'd' Hyaluronic acid .The viscosity and the plastic (thixotropic properties) of the synovial fluid is because of its hyaluronate content.Hyaluronic acid, a glycosaminoglycan is a polymer of repeating disaccharide units (of glucuronic acid and N-acetyl glucosamine).Also RememberFunctions of Glycosaminoglycans* Hyaluronic acidViscosity of the synovial fluid.jelly like consistency of vitreous humor of eye*.Tensile strength and elasticity of cartilage and tendons*.* Chondroitin sulfate* Tensile strength of cartilage tendons, ligaments and the walls of aorta*.* Dermatan sulfate* Pliability of skin* and heart valves*.* Keratan sulfateFound in horny structures* of body composed of dead cells - hair, nails, claws, horn, hoofs.Also present in cornea*.* Heparin* Anticoagulant